The biceps brachii muscle develops from which of the following?
1. Hypomere
2. Epimere
3. Anterior condensation
4. Posterior condensation

Correct answer: 3. Anterior condensation

Explanation: Biceps brachii muscle is a flexor of the antebrachium (forearm) so it develops from the anterior condensation of myotomic mesoderm.